Cause of Meliodosis is?
1. Burkholderia mallei
2. Burkholderia pseudomallei
3. Burkholderia cepacia
4. None

Correct answer: 2. Burkholderia pseudomallei

Explanation: ANSWER: (B) Burkholderia pseudomalleiREF: Ananthnarayan 8th edition Page 314"Melidiosis is caused by burkholderia pseudomellei"BURKHOLDERIA PSEUDOMELLEICauses melidiosisMotileMay cause hemoptysis , hence resembles TBRegional lymphadenitis, nodular lymphangitis, localized skin infection.Latency and reactivation might occurMode of spread: skin abrasion or inhahlationSafety pin appearanceTreatment: ceftazidime or carbpenamsBURKHOLDERIA MALLEICauses glandersNon motileBipolar stainingAgent of biological warfare ,, category bInduces strauss reactionMallein test used for diagnosisTreatment is same as melidiosis